Ankylosing spondylitis is associated with
1. HLA-B27
2. HLA-B-8
3. HLA-DW4/DR4
4. HLA-DR3

Correct answer: 1. HLA-B27

Explanation: There is a strong correlation with HLA-B2790-95% of cases are positive for HLA-B27(Refer: Mohindra's Fundamentals of Orthopedics, 2nd edition, pg no. 302, 426)